CASPAR criteria is used in diagnosis
1. Psoriatic arthritis
2. Rheumatoid arthritis
3. Ankylosing spondylitis
4. Reactive Synovitis

Correct answer: 1. Psoriatic arthritis

Explanation: Classification criteria for Psoriatic arthritis is used in the diagnosis of psoriatic arthropathy Refer : maheswari 9th ed